Weil felix reaction for Scrub typhus shows positivity for -
1. OX-K
2. OXK + OX19
3. OX-2
4. OX-19

Correct answer: 1. OX-K